All are true about pentose phosphate pathway, EXCEPT:
1. CO2 is produced
2. Oxidation utilises NADP
3. No ATP is generated
4. None of the above

Correct answer: 4. None of the above

Explanation: Although glucose 6-phosphate is common to both pathways, the pentose phosphate pathway is markedly different from glycolysis. Oxidation utilizes NADP rather than NAD, CO2, which is not produced in glycolysis, is a characteristic product No ATP is generated in the pentose phosphate pathway, whereas it is a major product of glycolysis. Ref: Harper 28th edition, chapter 21.